Maximum permissible dose of lignocaine that can be given with adrenaline:
1. 4 mg/kg
2. 4.5 mg/kg
3. 7 mg/kg
4. 10 mg/kg

Correct answer: 3. 7 mg/kg

Explanation: For a normal healthy adult,
The maximum dose of lignocaine with adrenaline should not exceed 7 mg/kg body weight and not to exceed 500 mg.
Without adrenaline, it should not exceed 4.4mg/kg body weight and not to exceed 300 mg.
Reference: Monheim’s 7th ed page no 148